Earliest pathological change is X-ray in Ulcerative Colitis -
1. Loss of haustration
2. Aphthous ulcerattions
3. Mucosal granularity
4. Skip tensions

Correct answer: 3. Mucosal granularity